Which one of the following is a symptom of ammonia intoxication?
1. Slurring of speech
2. Abdominal pain
3. Diarrhea
4. Constipation

Correct answer: 1. Slurring of speech

Explanation: One of earlier symptoms of ammonia intoxication is haziness of vision and slurring of speech Other clinical features of urea cycle defects:- Increased blood glutamine Decreased BUN (Blood Urea Nitrogen) Cerebral oedema Vomiting Lethargy hyperventilation Note:-Severe ammonia toxicity can lead to coma and eventually death.